Neurolept analgesia:
1. Is used in patients with Parkinson's disease.
2. Precludes the use of Succinylcholine.
3. Induces unconsciousness.
4. Is useful for minor surgical procedures.

Correct answer: 4. Is useful for minor surgical procedures.

Explanation: Neurolept analgesia is a state produced by the combination of droperidol and fentanyl. It is associated with state of quiescence, reduced motor activity, reduced anxiety and indifference to surroundings. The patient is not rendered unconsciousness and is responsive to commands. It is useful to perform small procedures in severely ill patients or high-risk patients. It should not be used for patients with Parkinson's disease, as droperidol is a dopamine antagonist. When the combination is given rapidly it causes chest wall spasm and this would impair respiratory exchange. This is managed by administering succinylcholine, a rapid acting neuromuscular agent.